Beheaded Scottish terrier sign is?
1. Spondylosis
2. Spondylolisthesis
3. Lumbar canal stenosis
4. Slipped Disc

Correct answer: 2. Spondylolisthesis

Explanation: B i.e. Spondylolisthesis